Immediately following delivery the height of the uterus corresponds to............. weeks :
1. 32
2. 20
3. 25
4. 12

Correct answer: 2. 20

Explanation: 20